Post operative ileus is maximum in:
1. Colon
2. Ileum
3. Duodenum
4. Stomach

Correct answer: 1. Colon